How does wilms tumor commonly present in children
1. Hematuria
2. Abdominal pain
3. Abdominas mass
4. Fever

Correct answer: 3. Abdominas mass

Explanation: Asymptomatic abdominal mass is the most common presentation of wilms tumor.